The best way to diagnose the degree of placenta previa is
1. Trans vaginal sonography
2. Double set-up examination
3. Observation during C.S.
4. Examination of placenta after delivery

Correct answer: 1. Trans vaginal sonography

Explanation: Trans vaginal sonography